Epithelial lining of the vagina is
1. Stratified squamous non-keratinised
2. Stratified squamous keratinised
3. Columnar
4. Cuboidal

Correct answer: 1. Stratified squamous non-keratinised

Explanation: The lining of orifices is stratified squamous epithelium. In moist areas it is non-keratinised.Examples of non-keratinized stratified squamous epithelium include corneal epithelium, lining mucosa of the oral cavity, esophagus, anal canal, ectocervix, vagina and the internal portion of the lips.Reference: Chaurasia; 6th edition